Spider naevi can occur in:
1. Rheumatoid arthritis
2. Cirrhosis of the liver
3. Pregnancy
4. All of the above

Correct answer: 4. All of the above

Explanation: Spider naevi- benign vascular lesion, can be solitary or multiple Characterized by a central red arteriole, representing the body of the spider, surrounded by a radial pattern of thin-walled capillaries, resembling legs. On release of central compression fills from center to periphery. Usual site to check for spider naevi - SVC distribution. Associated with: Thyrotoxicosis Estrogen-excess states- pregnancy, OCP Hepatorenal syndrome Liver cirrhosis Alcoholics Viral hepatitis Rheumatoid arthritis